Which of the following is a VEGF inhibitor?
1. Bevacizumab
2. Omalizumab
3. Adalizumab
4. Abciximab

Correct answer: 1. Bevacizumab

Explanation: Cetuximab, Bevacizumab, Sunitinib, Sorafenib acts as VEGF inhibitors inhibiting angiogenesis.Ref: Sharma and Sharma 3rd ed/pg 875